Human anatomical waste is put in:
1. Yellow
2. Red
3. Blue
4. Black

Correct answer: 1. Yellow

Explanation: Ans. A: Yellow Colour coded biomedical waste bags ? Yellow plastic bags for human anatomical, animal, microbiological and soiled waste. Red disinfected container or plastic bags microbiological waste, solid waste (IV tubes, catheters, etc.) -Blue or White plastic bag or puncture proof containers sharps, disposable tubings, etc . - Black Plastic bag or puncture proof containers discarded medicines, incineration ash, chemical waste.